Which of the following enzymes does not contain Zn
1. Alcohol Dehydrogenase
2. Arginase
3. Alkaline Phosphatase
4. Carbonic Anhydrase

Correct answer: 2. Arginase

Explanation: Zinc is required for the activity of > 300 enzymes, covering all six classes of enzymes.Alcohol dehydrogenaseSuperoxide dismutaseTransferases like RNA polymerase and Aspartate transcarbamoylaseHydrolases like carboxypeptidase A and thermolysinLyases like Carbonic anhydrase and Fructose-1,6-bisphosphate aldolaseIsomerases like phosphomannose isomerase and Ligases like pyruvate carboxylase and aminoacyl-tRNA synthasesRef: Harper's Biochemistry; 30th edition